Centrally acting antihypertensive drugs are all EXCEPT:
1. Alpha methyl dopa
2. Clonidine
3. Guanabenz
4. Trimethoprim

Correct answer: 4. Trimethoprim

Explanation: Ans. D i.e. Trimethoprim Trimethoprim is structural analogue of the pteridine portion of dihydrofolic acid but, unlike sulfonamides, it blocks the conversion of dihydrofolic acid to tetrahydrofolic acid (active form)by competitively inhibiting the enzyme dihydrofolate reductase.